Treatment of choice for Mixed Parotid Tumor is:
1. Enucleation
2. Superficial parotidectomy
3. Radical parotidectomy
4. Radiation

Correct answer: 2. Superficial parotidectomy